Etoposide acts by -
1. Inhibition of dihydrofolate
2. Inhibition of topoisomerase
3. Inhibition of purine synthesis
4. Inhibition of protein synthesis

Correct answer: 2. Inhibition of topoisomerase

Explanation: Ans. is 'b' i.e., Inhibition of topoisomerase o Etoposide and teniposide are natural anticancer drugs. o They act by inhibiting topoisomerase II that leads to DNA strand breakage.